A 30 year old lady c/o sudden onset breathlessness, anxiety, palpitation & feeling of impending doom. Physical examination is normal. What is the diagnosis -
1. Panic attack
2. PTSD
3. Conversion disorder
4. Acute psychosis

Correct answer: 1. Panic attack

Explanation: Ans. is 'a' i.e., Panic attack DSM-IV Criteria for a Panic AttackA panic attack is a period of intense fear or discomfort, developing abruptly and peaking within 10 minutes, and requiring at least four of the followingChest pain or discomfortQChills or hot flushesDerealization (feeling of unreality) or depersonalization (being detached from oneself)Fear of losing controlFeeling of chokingNausea or abdominal distressPalpitations or tachycardia QParesthesiasSensations of shortness of breath Q or smotheringSense of impending doomQSweatingTrembling or shaking